Which of the premolars is usually the smallest:
1. Maxillary first
2. Maxillary second
3. Mandibular first
4. Mandibular second

Correct answer: 3. Mandibular first